Most common organs involved in wegner's granulomatosis are
1. Skin and nose
2. Lung and kidney
3. Heart and kidney
4. Kidney and navour system

Correct answer: 2. Lung and kidney

Explanation: Wegner gronulomatosis now known as, granulomatosis with polyangitis is a necrotizing vasculitis characterized by a tried of.

Necrotizing gronulomar of the upper respiratory tract (ear, nose, sinuses, throat) or the lower respiratory tract (lung) or both.
Necrotizing or granulomatous vasculitis affecting small to medium - sized vessels (eg: capillorics, venuler, arterioles and arterier). Most prominent in the lungs and upper airways but involving other sites as wells.
Focal necrotizing, often crescentic, glomerulonephritis Also know that "limited" forms of this disease may be restricted to the respirotory tract,